Nerve running along with profunda brachii artery, in spiral groove ?
1. Ulnar
2. Median
3. Radial
4. None

Correct answer: 3. Radial

Explanation: Profunda brachii is a branch of brachial artery. It accompanies radial nerve in spiral groove.